Membrane fluidity is increased by:
1. Stearic acid
2. Palmitic acid
3. Cholesterol
4. Linoleic acid

Correct answer: 4. Linoleic acid

Explanation: D i.e. Linoleic Acid